Transposons are
1. Jumping genes
2. Cosmid
3. Episome
4. None

Correct answer: 1. Jumping genes

Explanation: Transposons are segments of DNA that can move around to different positions in the genome of a single cell. In the process, they may cause mutations increase (or decrease) the amount of DNA in the genome of the cell, and if the cell is the precursor of a gamete, in the genomes of any descendants. These mobile segments of DNA are sometimes called "jumping genes". Ref-Sathyanarayana 4/e